Best way to prevent gas gangrene is -
1. Immunoglobulins
2. Hyperbaric oxygen
3. Proper wound debridement
4. Anti gas gangrene serum

Correct answer: 3. Proper wound debridement